Cellulose is a:
1. Fructose polymer
2. Non-starch polysaccharide
3. Starch polysaccharide
4. Glycosaminoglycan

Correct answer: 2. Non-starch polysaccharide

Explanation: Option b : Cellulose is a non-starch homopolysaccharide Cellulose unbranched, non-starch homopolysaccharide It is made up of glucose molecules linked by beta (1- 4) glucosidic linkages (see fig). This linkage can't be broken down by any human enzyme due to beta anomerism at C-1. Intestinal bacteria ferments cellulose to short-chain fatty acid (Butyrate). The most abundant organic molecule on Earth (Second most abundant is Chitin). Cellulose is present in the cell walls of plants and other organisms Starch storage polysaccharide of plants consisting of both linear and branched chain glucose molecules.